The scalp
A. Is attached by occipitalis muscle to the skull
B. Is attached by the frontalis muscle to the skull
C. Receives sensory innervation from the dorsal rami of first 3 cervical
nerves
D. Is supplied, in part, by the ophthalmic artery
E. Drains directly to the subcutaneous lymph nodes at the base of the
skull
1. A = True, B = False, C = True, D = True, E = True
2. A = False, B = True, C = True, D = False, E = False
3. A = True, B = True, C = False, D = True, E = True
4. A = False, B = True, C = False, D = False, E = True

Correct answer: 1. A = True, B = False, C = True, D = True, E = True

Explanation: Frontalis is attached to orbicularis oculi and not to bone.